Radioiodine is used in treatment of ?
1. Graves disease
2. Hypothyroidism
3. Medullary carcinoma
4. Anaplastic carcinoma

Correct answer: 1. Graves disease

Explanation: Ans. is 'a' i.e., Graves disease(Ref: KDT p.255)Radioactive iodine is administered as sodium salt of r3rl dissolved in water and taken orally.The most common indication is hyperthyroidism due to Graves'disease or toxic nodular goiter. The average therapeutic dose is 3-6 m curie-calculated on the basis of previous tracer studies and thyroid size.